Structure which passes through both greater and lesser sciatic foramen?
1. Nerve to quadrates femoris
2. Superior gluteal nerve
3. Nerve to obturator internus
4. Piriformis muscle

Correct answer: 3. Nerve to obturator internus

Explanation: Ans. (c) Nerve to obturator internusRef: Gray's Anatomy 40th ed., chapter 80